The most frequent symptom of gastric diverticulum is
1. Epigastric pain
2. Haematemesis
3. Vomiting
4. Pain relieved by food

Correct answer: 1. Epigastric pain